Hypoglossal nerve supplies to all the following
muscles EXCEPT:
1. Palatoglossus
2. Genioglossus
3. Hyoglossus
4. Styloglossus

Correct answer: 1. Palatoglossus